The following have defect in DNA repair mechanism except for:
1. Xeroderma Pigmentosa
2. Fanconi anemia
3. Huntington's disease
4. Ataxia-telangectasia

Correct answer: 3. Huntington's disease

Explanation: Huntington disease (HD) Autosomal dominant disease It is a prototypes of the polyglutamine trinucleotide repeat expansion diseases. The gene for it is located on chromosome 4p16.3, encodes a 348 kD protein known as huntingtin. Xeroderma Pigmentosum Inherited disorder of DNA repair Diseases with Defects in DNA Repair by Homologous Recombination: Bloom syndrome Ataxia-telangiectasia Fanconi anemia